Receptor of EBV is
1. CR1
2. CR2
3. CD20
4. CD19

Correct answer: 2. CR2

Explanation: EBV binds to CD21 or CR2 receptor.